Physiological changes in pregnancy :
1. Decreased residual volume
2. Decreased GFR
3. Decreased Cardiac output
4. Increased Haematocrit

Correct answer: 1. Decreased residual volume

Explanation: *The functional residual capacity and residual volume are decreased due to elevated diaphragm. GFR increases by 50% Cardiac output increases by 40% Hemoglobin and hematocrit decreases. Reference : William's Textbook of Obstetrics 24th edition page 62